An infant is brought to casualty with reports of violent shaking by parents. Most characteristic injury is:
1. Long bone fracture
2. Ruptured spleen
3. Subdural haematoma
4. Skull bone fracture

Correct answer: 3. Subdural haematoma

Explanation: Ans. (C). Subdural haematoma(Ref: The essentials of forensic medicine and toxicology; Dr. KS Narayana Reddy, 33rd edition; Page no: 445)Clinical Features of battered baby syndromeMost characteristic lesion-laceration of mucosa inside the upper lip and often tear of frenulum notedQInfantile whiplash syndromeQ- shaking a child causes subdural hematoma and intra ocular bleedingFractures and injuries will be at different stages of healing